Dalen fuch's nodule is seen in:
1. Sympathetic ophthalmitis
2. Myopia
3. Retinal detachment
4. Spring catarrah

Correct answer: 1. Sympathetic ophthalmitis

Explanation: A i.e. Sympathetic opthalmitis